Hot spots in bone scan are seen in the following conditions except -
1. Osteomyelitis
2. Multiple myeloma
3. Hyperparathyroidism
4. Metastases

Correct answer: 2. Multiple myeloma

Explanation: Multiple myeloma shows cold scan.